Macrocytic anemia is not seen in:
1. Vitamin B12 deficency
2. Hemolytic anemia
3. Post haemmorgagic
4. Anemia of chronic disease

Correct answer: 4. Anemia of chronic disease

Explanation: Anemia of chronic disease